Absolute contraindication of HRT is?
1. Endometriosis
2. Osteoarthritis
3. Heart disease
4. Breast carcinoma

Correct answer: 4. Breast carcinoma

Explanation: ANSWER: (D) Breast cancerREF: Harrisons 18th ed edition chapter 348Contraindications to HT should be assessed routinely and include unexplained vaginal bleeding, active liver disease, venous thromboembolism, history of endometrial cancer (except stage 1 without deep invasion) or breast cancer, and history of EURHD, stroke, transient ischemic attack, or diabetes.Relative contraindications include hypertriglyceridemia (>400 mg/dl) and active gallbladder disease; in such cases, transdermal estrogen may be an option